All of the following indications of vasopressin are based on stimulation of V2 receptors EXCEPT:
1. Central diabetes insipidus
2. Bed wetting in children
3. Von-Willebrand's disease
4. Esophageal varices

Correct answer: 4. Esophageal varices

Explanation: Vasoconstriction is caused by V1 receptors whereas anti-diuresis and release of vWF from endothelium is mediated by V2 receptors of vasopressin.